Papillary necrosis is seen in all except
1. NSAID's
2. DM
3. Sickle cell anemia
4. Shock

Correct answer: 4. Shock

Explanation: Causes of papillary necrosis*Diabetes mellitus*Sickle cell disease/trait*Analgesics*Urinary tract obstruction *Renal tuberculosis ( Ref: Robbins 8/e p934)